Which among the following is not a feature of follicular lymphoma
1. (11, 14) translocation
2. BCL2 over expression
3. BCL 6 rearrangement
4. CD5 negative

Correct answer: 1. (11, 14) translocation

Explanation: Ans: a) (11,1 4) translocation The hallmark of typical follicular lymphoma is a (14, 18) translocation in >90% cases and not (tl 1, 14); (11,14) translocation is a feature of mantle cell lymphoma.More about Follicular lymphoma* Usually occurs in middle age male: female =1:1*Markers CD 19CD 20CD 10 (CALLA)surface Ig -+veCD5 -veBCL2 overexpression which is an antagonist of apoptotic cell death. Uncommonly BCL6 gene rearrangement may be seen instead of t( 14; 18)Usually presents with painless generalized lymphadenopathyInvolvement of extranodal sites is uncommonUsually indolent waxing and waning course with median survival of 7-9 yrs.Treatment:- palliative low dose CT or RT30-50% show transformation to diffuse large B cell lymphoma